Gemelli muscles are present in:
1. Hip
2. Knee
3. Elbow
4. Shoulder

Correct answer: 1. Hip

Explanation: Ans: (a) HipRef: Gray's Anatomy, The Anatomical Basis of Clinical Practice, Susan Standring, 41st edition, 2016, Page 1361Gemelli MusclesTwo in numberGemellus inferior and gemellus superiorThey are short lateral rotators of hip joint OriginInsertionRelation to tendon of obturator internusBlood supplyNervesupplyActionsGemellussuperiorDorsal surface of ischial spineMedial surface of greater trochanterAbove the tendon of obturator internusInternalPudendal artery,inferior gluteal artery and sometimes by superior gluteal arteryNerve toobturatorInternus*Rotate the extended thigh laterally and abduct the Flexed thighGemellusinferiorUpper part of the Lateral surface of the ischial tuberosityMedial surface of greater trochanterBelow the tendon of obturator internusMedial circumflex femoral arteryNerve toQuadratusfemoris*Rotate the extended thigh laterally and abduct the Flexed thigh